Left testicular vein drains into ?
1. Left renal vein
2. IVC
3. SVC
4. Hepatic vein

Correct answer: 1. Left renal vein

Explanation: Ans. is 'a' i.e., Left renal vein Right suprarenal and right gonadal (testicular/ovarian) veins -4 IVC.Left suprarenal and left gonadal (testicular/ovarian) veins - left renal vein.